A young man with blurring of vision in right eye, followed by left eye after 3 months, Showing disc hyperemia, edema, circumpapillary telangiectasia with normal pupillary response with centrocecal scotoma on perimetery, the cause is
1. Optic atrophy
2. Optic neuritis
3. Toxic optic neuropathy
4. Leber's optic neuropathy

Correct answer: 4. Leber's optic neuropathy

Explanation: Disc hyperemia, periperillary telangiectasia clearly s/o leber's optic neuropathy.